Cox pathway is not inhibited by
1. Aspirin
2. Indomethacin
3. Betamethasone
4. Diclofenac

Correct answer: 3. Betamethasone

Explanation: Aspirin inhibits Cox irreversibly by acetylating one of its serine residues;return of Cox activity depends are depends on synthesis of freshers I enzymes. other NSAIDs like indomethacin, diclofenac, etc are competative and Irreversible inhibitors of Cox, return of activity depends upon the dissociation from enzyme which in turn is governed by pharmacokinetic characteristics of its compound corticosteroids like betamethasone act by inhibiting phospholipase A2.